In chronic alcoholism the rate limiting component for alcohol metabolism excluding enzymes is / are:
1. NADP
2. NAD
3. None
4. FADH

Correct answer: 2. NAD

Explanation: NAD